Confounding factors can be eliminated by all except
1. Matching
2. Randomization
3. Ethical consideration
4. Stratification

Correct answer: 3. Ethical consideration

Explanation: A confounding factor is defined as one which is associated with both exposure and disease and is distributed unequally in study and control groups. (refer pgno:72 park 23 rd edition)